Oxalate stones are found in
1. Ethylene glycol
2. Ethanol
3. Diethyl glycol
4. Methyl alcohol

Correct answer: 1. Ethylene glycol

Explanation: The severity of ethylene glycol toxicity is related to the metabolic acidosis resulting from the biotransformation of ethylene glycol into toxic metabolites. Ethylene glycol is metabolized by the enzyme alcohol dehydrogenase to glycoaldehyde. Through interaction with aldehyde dehydrogenase, ethylene glycol is then metabolized to glycolic acid (GA).Glycolic acid causes severe acidosis. This glycolate is then transformed into glyoxylic acid which may be transformed into the highly toxic oxalate or the safer glutamate or a-ketoadipic acid metabolites. Thus, calcium oxalate crystals may form and accumulate in blood and deposit in kidneys and other tissues.